Pavlov's experiment is an example of-
1. Operant conditioning
2. Classical conditioning
3. Learned helplessness
4. Modeling

Correct answer: 2. Classical conditioning

Explanation: Pavlov's experiment is an example of classical conditioning.